Which of the following is not a direct branch of celiac trunk?
1. Splenic
2. Common hepatic
3. Right gastric
4. Left gastric

Correct answer: 3. Right gastric

Explanation: ANSWER: (C) Right GastricREF: Grays anatomy 40 th ed, Ch: 68The coeliac trunk is the first anterior branch and arises just beloiv the aortic hiatus at the level of T12/L1 vertebral bodies.It is 1.5-2 cm long and passes almost horizontally forwards and slightly right above the pancreas and splenic vein.It divides into the left gastric, common hepatic and splenic arteries.The coeliac trunk may also give off one or both of the inferior phrenic arteries.Anterior to the coeliac trunk lies the lesser sac. The coeliac plexus surrounds the trunk, sending extensions along its branches.On the right lie the right coeliac ganglion, right crus of the diaphragm and the caudate lobe of the liver.To the left lie the left coeliac ganglion, left crus of the diaphragm and the cardiac end of the stomach.The right crus may compress the origin of the coeliac trunk, giving the appearance of a stricture. The head of the pancreas and the splenic vein are inferior to the coeliac trunk.